Long acting non–depolarizing muscle relaxants is :
1. Succinylcholine
2. Mivacurium
3. Pancuronium
4. Phenyleplirine

Correct answer: 3. Pancuronium